Intrinsic factor secreted by
1. Chief cells
2. Parietal / oxyntic cells
3. Antral cells
4. Mucous secreting cells

Correct answer: 2. Parietal / oxyntic cells

Explanation: Parietal or oxyntic cells secrete HCl and intrinsic factor.Chief or zymogen or peptic cells secrete pepsinogen.(Ref: Ganong's Review of medical physiology, 23 rd edition, page 431)